Which of the following vitamin may have an anti infective action:
1. Vitamin K
2. Vitamin D
3. Vitamin A
4. Vitamin E

Correct answer: 3. Vitamin A

Explanation: Ans. C: Vitamin A Known as 'the anti-infective vitamin', vitamin A plays an essential role in protecting your body from infection. It keeps body surfaces healthy so they can act as barriers to invading micro-organisms. Skin and membrane alteration partly explain increased sensitivity to infection during vitamin A deficiency. Even marginal deficits may induce modifications of lung membranes. Vitamin A stimulates and enhances many immune functions including antibody response and the activity of various white blood cells such as T helper cells and phagocytes. This immune-enhancing function promotes healing of infected tissues and increases resistance to infection.